For the following medical conditions, select the associated acid base disturbances.Sepsis
1. metabolic acidosis and respiratory acidosis
2. metabolic acidosis and respiratory alkalosis
3. metabolic alkalosis and respiratory acidosis
4. metabolic alkalosis and respiratory alkalosis

Correct answer: 2. metabolic acidosis and respiratory alkalosis

Explanation: Sepsis can cause cardiovascular insufficiency with lactic acidosis, whereas fever and endotoxemia stimulate the respiratory center, causing respiratory alkalosis.